The enquiry into the circumstances of death is called-
1. Homicide enquiry
2. Inquest
3. Open verdict
4. Adjourned verdict

Correct answer: 2. Inquest